If the head of the radius is removed, it will result in :
1. Lengthening of limb
2. Valgus deformity
3. Varus deformity
4. No deformity

Correct answer: 2. Valgus deformity

Explanation: Complications of radial head excision in children :

Proximal migration of radius with inferior radio - ulnar (distal radio - ulnar) joint instability.
Postero - lateral instability.
Cubitus valgus deformity.